Premalignant lesions (s) are -
1. Submucous fibrosis
2. Leukoplakia
3. Erythroplakia
4. All of the above

Correct answer: 4. All of the above